Isometric contraction is seen in?
1. Extraocular muscles
2. Small muscles of hand
3. Abdominal muscles
4. Antigravity muscles

Correct answer: 4. Antigravity muscles

Explanation: Ans. is'd'i.e., Antigravity musclesIsotonic contraction means contraction in which there is change of length at constant tension.The tension is equal to the weight lifted during contraction of the muscle.Isometric contraction means contraction in which there is no change in length of the muscle (constant length) but there is an increase in tension.So, isometric contraction generate more force of contraction (tension).Best example of isometric contraction is the contraction of antigravity muscles to maintain tension in erect posture, without changing length.